Which of the following type of pancreatitis has the best prognosis
1. Alcoholic pancreatitis
2. Gallstone induced pancreatitis
3. Post operative pancreatitis
4. Idiopathic pancreatitis

Correct answer: 2. Gallstone induced pancreatitis

Explanation: The prognosis is best in patients where pancreatitis Is caused by a remediable cause such as cholelithiasis Eradication of gallstones prevents further attacks of pancreatitis Ref: Oxford textbook of surgery 2nd edition Pgno :1766